A female patient presents with deep Desmoid tumor of abdominal wall. She is probably screened for
1. Breast cancer
2. Pancreatic cancer
3. Colonic polyps
4. Lung cancer

Correct answer: 3. Colonic polyps

Explanation: Desmoid tumour is a tumour arising from the musculoaponeurotic layer of abdomen, below the level of the umbilicus. It is unencapsulated, hard, fibroma, presently classified under aggressive fibromatosis. 80% of cases occur in females, commonly after deliveries. It is often associated with the familial polyposis colon (FAP), osteomas, odontomes epidermal cysts--Gardner's syndrome. Desmoid tumour is 1000 times more common in FAP. Hence this patient should be screened for colonic polyps Reference : page 742 SRB's manual of surgery 5th edition